Slow EPSP acts on which receptor in post ganglion neuron in sympathetic ganglion:
1. Nicotinic
2. Muscarinic
3. Dopaminergic
4. Gn RH

Correct answer: 2. Muscarinic

Explanation: Ans. B. MuscarinicFast & slow responses of postganglionic neurons in sympathetic ganglia.PotentialDurationi. Fast EPSPi. 30 msii. Slow IPSPii. 2 siii. Slow EPSPiii. 30 siv. Late slow EPSPiv. 4 min PotentialMediatori. Fast EPSPi. Acetylcholineii. Slow IPSPii. Dopamineiii. Slow EPSPiii. Acetylcholineiv. Late slow EPSPiv. Gn RH PotentialReceptori. Fast EPSPi. Nicotinic cholinergicii. Slow IPSPii. D2iii. Slow EPSPiii. M2 cholinergiciv. Late slow EPSPiv. Gn RH PotentialSpecial featurei. Fast EPSPi. Rapid depolarization that generates action potentialii. Slow IPSPii. d/t increase in K+ conductance. Dopamine is secreted by intensely fluorescent cells (SIF cells) in gangliaiii. Slow EPSPiii. d/t decrease in K+ conductanceiv. Late slow EPSPiv. Late slow EPSP has a latency of 1-5s and last for few minute.